Sphingomyelinase deficiency is seen in
1. Niemann - Pick disease
2. Farber's disease
3. Tay Sach's disease
4. Krabbe's disease

Correct answer: 1. Niemann - Pick disease

Explanation: DiseaseEnzyme DeficiencyClinical SymptomsNiemann-PickdiseaseSphingomyelinaseEnlarged liver and spleen, intellectual disability;fatal in early lifeRef: Harper's Biochemistry; 30th edition; Chapter 24; 24 Metabolism of Acylglycerols & Sphingolipids